The conversion of prothrombin to thrombin, the factor to participate along with calcium is:
1. Labile factor
2. Stable factor
3. Fibrin
4. Thromboplastin

Correct answer: 1. Labile factor